In dark adaptation, there is:
1. Break down of rhodopsin
2. Increased threshold for vision
3. No role for cones
4. No change in the dioptric power of the eye

Correct answer: 4. No change in the dioptric power of the eye

Explanation: In dark adaptation, there is re-synthesis of the bleached rhodopsin. In the retina, the storage form of vitamin A (all-trans retinol) is converted to 11-cis retinal which combines with opsin to form rhodopsin. Initial dark adaptation is due to cones; cones form visual pigment faster as compared to rods. Other changes in the dark: (1) dilation of pupil, (2) increased number of impulses in the optic nerve fibers.